Mikulicz cell and Russell bodies are characteristic of:
1. Rhinoscleroma
2. Rhinosporidiosis
3. Lupus vulgaris
4. Lethal midline granuloma

Correct answer: 1. Rhinoscleroma

Explanation: (a) Rhinoscleroma(Ref. Scott Brown, 6th ed., 4/8/34)Definitive diagnostic test of rhinoscleroma is biopsyBiopsy in rhinoscleroma shows granulomas with plasma cells containing Russell bodies and large macrophages containing the phagocytosed bacteria are known as Mikulicz cells.